Hordeoluminternum isasuppurativeinflammation of the:
1. Gland of Zeis
2. Gland of Moll
3. Meibomian gland
4. All of the above

Correct answer: 3. Meibomian gland

Explanation: Ans. Meibomian gland